Radio pharmaceutical used for phagocyte study scan:-
1. Sulfur colloid scan
2. Thallium 201
3. Technetium pertechnetate scan
4. MDP scan

Correct answer: 1. Sulfur colloid scan

Explanation: - Tc99m-Sulfur Colloid:- Taken up by 1. Phagocytes2. Reticulo endothelial cells | Used to evaluate:1. Occult abscess2. Splenic diseases3. Focal Nodular hyperplasia-| Kupffer cells - Hot uptake4. Fibrolamellar variant HCC - No Kupffer cells-Cold uptake